Perforation of stomach is more common due to ingestion of -
1. Nitric acid
2. Sulphuric acid
3. Hydrochloric acid
4. Carbolic acid

Correct answer: 2. Sulphuric acid

Explanation: Stomach perforation is more common with H2SO4.